Acrodynia/Pink disease occurs in poisoning with:
1. Mercury
2. Arsenic
3. Lead
4. Thallium

Correct answer: 1. Mercury

Explanation: Ans. Mercury It is seen mostly in children due to idiosyncratic hypersensitivity reaction to repeated ingestion or contact with mercury. There is pinkish morbiliforum/ acral rashes, desquamation of palms and soles, tachycardia, hypertension, excessive salivation or perspiration, weakness, irritability, photophobia, anorexia, insomnia, and constipation or diarrhea.